Vegetations on under surface of cusps are found in
1. Infective endicarditis
2. Libman sacks endocarditis
3. SABE
4. Rheumatic fever

Correct answer: 2. Libman sacks endocarditis

Explanation: Refer robbins 9/e 562 Vegetations of libman sacks endocarditis occur on surface of cusps.both surfaces are involved but most commonly affects under surface